Adductor tubercle gives attachement to
1. Adductor magnus
2. Adductor brevis
3. Adductor longus
4. Vastus intermedius

Correct answer: 1. Adductor magnus

Explanation: ADDUCTOR TUBERCLE:- Posterosuperior to medial epicondyl there is a projection called adductor tubercle. It gives attachment to the insertion of hamstring or ischial head of adductor Magnus. Adductor brevis inserted into the line extending from lesser trochanter to upper part of linea aspera. Adductor longus inserted into the medial lip of linea aspera between vastus medialis and adductor brevis and magnus. Vastus intermedialis- arise from femur shaft ( upper three fourth of anterior and lateral surface) {Reference: BDC 6E pg no.17}